A broadest neuroretinal rim is seen in
1. Superior pole
2. Inferior pole
3. Nasal pole
4. Temporal pole

Correct answer: 2. Inferior pole

Explanation: The tissue outside the cup is termed the neuroretinal rim and contains the retinal nerve axons as they enter the nerve head. Rim area ranges from 0.8-4.66 mm2 (1.97 +- 0.5 mm2) and correlates with disc area (Oonas, Gusek, and Naumann,1988). It is broadest in the lower segment of the disc, then above, then nasally and then temporally. It is narrowest in the temporal horizontal disc region in 99.2% of all discs. Compared with the visually normal eyes, glaucomatous neuroretinal rim loss occurred in all sectors of the optic disc with regional preferences depending on the stage of the disease. In the eyes with modest glaucomatous damage, rim loss was usually most pronounced in the inferotemporal disc region. In the eyes with moderately progressed glaucomatous changes, rim was decreased most markedly in the superotemporal sector, then in the temporal horizontal area, the nasal inferior region, and finally in the superior nasal sector. In very advanced glaucoma, rim remnants usually were present only in the nasal disc region. At that stage, they were significantly larger in the superior nasal region than in the nasal inferior area Other than occurring in a diffuse way, glaucomatous neuroretinal rim loss took place in a sequence of sectors. Generally, it began in the inferotemporal disc region and then progressed to the superotemporal, the temporal horizontal, the inferior nasal, and finally the superior nasal sectors. This correlates with the progression of visual field defects and the morphology of the lamina cribrosa. This finding may be important for "early" glaucoma diagnosis Ref. Wolff's anatomy of the eye; 8th edition; Pg.No. 506